Effect comprising conjuctival congestion, ↑ appetite,dry mouth, tachycardia and synesthesia is seen with-
1. Cannabis
2. Caffeine
3. Cocaine
4. Codeine

Correct answer: 1. Cannabis